Isthmus of the thyroid gland is across tracheal ring -
1. 2nd to fourth
2. 3rd to fifth
3. 5th and 6th
4. 4th only

Correct answer: 1. 2nd to fourth

Explanation: The isthmus extends from the second to the fourth tracheal ring.